Steroids hormones exert their effects by binding to
1. Cell surface receptors
2. G proteins
3. Transcription factors
4. Cyclic adenosine monophophate (AMP)

Correct answer: 3. Transcription factors

Explanation: Steroid hormones cross the cell membrane and bind to specific receptors within the cell. These receptors are transcription factors that are active only in the presence of particular hormones. The hormone-transcription factor complex binds to steroid hormone responsive elements in DNA to influence transcription from steroid-sensitive genes. Thyroid hormone, retinoic acid, and 1,25-dihydroxycholecalciferol exert their effects in a similar way.